Megaloblastic anemia is due to -
1. Defect in DNA synthesis
2. Defect in RNA synthesis
3. Defect in protein synthesis
4. None of the above

Correct answer: 1. Defect in DNA synthesis